A boy is having diarrhoea. rhinorrhoea, sweating & lacrimation, What is the most probable diagnosis
1. Cocaine withdrawal
2. Heroin withdrawal
3. Alcohol withdrawal
4. LSD withdrawal

Correct answer: 2. Heroin withdrawal

Explanation: Heroin withdrawal Diagnostic criteria for Opioid Withdrawal A. Either of the following: 1) Cessation of (or reduction in) opioid use that has been heavy and prolonged (several weeks or longer) 2) Administration of an opioid antagonist after a period of opioid use. B. Three (or more) of the following, developing within minutes to several days after Criterion A: 1) Dysphoric mooddeg 2) Nausea or vomiting 3) Muscle aches 4) Lacrimation or rhinorrheadeg 5) Pupillary dilationdeg, piloerectiondeg, or sweating 6) Diarrhea 7) Yawningdeg 8) Fever 9) Insomniadeg C. The symptoms in Criterion B cause clinically significant distress or impairment in social, occupational, or other important areas of functioning. D. The symptoms are not due to a general medical condition and are not better accounted for by another mental disorder.